A 1 year old child with intellectual disability, seizures, and facial angiofibromas develops repeated episodes of syncope. Echocardiogram reveals a mass in the left ventricle producing intermittent obstruction. Pathologic examination of the resected mass demonstrates a cardiac rhabdomyoma. Which of the following lesions would this patient most likely also have?
1. Acoustic neuromas
2. Berry aneurysm
3. Cortical tubers
4. Meningiomas

Correct answer: 3. Cortical tubers

Explanation: The disease is tuberous sclerosis, in which cortical hamartomas known as tubers can be associated with facial angiofibromas, cardiac rhabdomyomas (probably actually a skeletal muscle hamartoma), seizures, intellectual disability, and astrocytomas. Associate acoustic neuromas with neurofibromatosis type II. Associate berry aneurysms with adult polycystic kidney disease. Associate meningiomas with breast cancer and, possibly, high estrogen states. Ref: Wyatt C., Butterwoh IV J.F., Moos P.J., Mackey D.C., Brown T.G. (2008). Chapter 6. Genetic Disorders. In C. Wyatt, J.F. Butterwoh IV, P.J. Moos, D.C. Mackey, T.G. Brown (Eds), Pathology: The Big Picture.